A 3 year old child presents with four days history of puffiness of face, fever and tea coloured urine. During the course of his disease, he can have any of the complications except
1. Hypokalemia
2. Hypertensive encephalopathy
3. Acute renal failure
4. Acidosis

Correct answer: 1. Hypokalemia

Explanation: Signs and symptoms of acute kidney failure may include: Decreased urine output, although occasionally urine output remains normal Fluid retention, causing swelling in your legs, ankles or feet Shortness of breath Fatigue Confusion Nausea Weakness Irregular heartbeat Chest pain or pressure Seizures or coma in severe cases Reference: GHAI Essential pediatrics, 8th edition